In mammals independent and tough suspension for teeth is provided by
1. Alveolar sockets
2. Cementum
3. Gubernacular cords
4. Periodontal membrane

Correct answer: 4. Periodontal membrane